Which of the following is not monitored in a patient on Methotrexate therapy
1. Liver function tests
2. Lung function test
3. Eye examnination
4. Hemogramz

Correct answer: 3. Eye examnination

Explanation: Methotrexate toxicities include. Myelosuprresion. Nephrotoxicity Hepatotoxicity Nuerotoxicity Photosentivity Pulmonary toxicity Refer CMDT 2010,1501